In Recurrent Anterior dislocation of shoulder, the movements that causes dislocation is
1. Flexion and internal rotation
2. Abduction and external rotation
3. Abduction and internal rotation
4. Extension

Correct answer: 2. Abduction and external rotation

Explanation: B i.e. Abduction & external rotation